Commonest age of Perthes disease is:
1. 5-10 years
2. 10-20 years
3. 20 - 25 years
4. 20 - 30 years

Correct answer: 1. 5-10 years

Explanation: (5 - 10 years): Ref: 269-M, 422-APERTHES' DISEASE: (Coxa plana, Pseudocoxalgia) A painful disorder of childhood characterized by avascular necrosis of the femoral head.* The disease commonly in boys in age groups of 5 - 10 years* Limping or stiffness* Limitation of abduction and internal rotation and shortening* Age is the most important prognostic factorGuidelines of Treatment1. Children under 6 years of age - Symptomatic treatment including a period of traction and there after reduced activity, is appropriate2. Children aged 6-8 years - In this the bone age is more important than the chronological age(I) Bone age at or below 6 years - Symptomatic treatment abduction brace(II) Bone age over 6 years - Abduction brace or osteotomy3. Children 9 years and older - Operative containment is the treatment of choice